Rate limiting enzyme of purine nucleotide synthesis is :
1. Xanthine oxidase
2. HGPRT
3. ADA
4. PRPP glutamyl amido-transferase

Correct answer: 4. PRPP glutamyl amido-transferase

Explanation: Rate limiting enzyme of purine nucleotide synthesis is PRPP Glutamyl Amido-transferase(option d) Rate limiting enzyme of Purine Nucleotide Catabolism is Xanthine Oxidase (Option a) Hypoxanthine and Guanine Phospho Ribosyl Transferase (HGPRT) catalyzes the conversion of Guanine to GMP and Hypoxanthine to IMP in the presence of PRPP. (Option b) Adenosine deaminase (ADA) catalyzes the conversion of Adenosine to Inosine. (Option c)